Inobesity, BMI is?
1. >= 20
2. >=25
3. >=30
4. >= 40

Correct answer: 3. >=30

Explanation: Park's textbook of preventive and social medicine 23rd edition. *normal range of BMI-18.50-24.99 *pre obese:25-29.99 *obese class 1: 30 to 34.99. *obese class 2 : 35 to 39.99. *obese class 3 :>40